Dilated cardiomyopathy is due to
1. Defective desmosomes
2. Mutated β myosin heavy chain
3. Mutated titin
4. Mutated osteoglycin

Correct answer: 3. Mutated titin

Explanation: Option a: Arrhythmogenic right ventricular hypertrophy
Option b: Hypertrophic cardiomyopathy
Option d: Left ventricular hypertrophy.